Most common tumor in the posterior mediastinum is:
1. Neurofibroma
2. Teratoma
3. Lymphoma
4. Bronchogenic cyst

Correct answer: 1. Neurofibroma

Explanation: Most common tumors in the posterior mediastinum are Neurogenic tumors.
Schwannomas (neurilemmomas) and neurofibromas are the most common neurogenic tumors in adults.
Neurogenic tumors consist of tumors :


Originating from sympathetic ganglia : ganglioma, ganglioneuroblastoma and neuroblastoma.
Originating from intercostal nerves : Schwannoma (neurilemoma), neurofibroma & neurosarcoma.
Originating from paraganglia cells - paraganglioma